Epidemic typhus is transmitted by ?
1. Flea
2. Mite
3. Louse
4. Tick

Correct answer: 3. Louse

Explanation: Ans. is 'c' i.e., Louse